All these structures are found in the lateral nasal wall except:
1. Superior turbinate
2. Vomer
3. Agger nasi
4. Hasner's valve

Correct answer: 2. Vomer

Explanation: (b) Vomer(Ref. Cummings, 6th ed., 659)Vomer is an independent separate bone which forms the postero-inferior part of the septum proper, i.e. the medial wall of nose.Rest all are found on the lateral wall